Which of the following is used as surrogate for endogenous LH surge in IVF
1. IGF
2. GnRH
3. HCG
4. hmg

Correct answer: 3. HCG

Explanation: HCG is used as surrogate for endogeneous LH surge in invitro fertilization.